Risk of Pneumococcal meningitis is seen in :
1. Post splenectomy Patient
2. Patient undergone neurosurgical intervention
3. Patient following cardiac surgery
4. Patient with hypoplasia of lung

Correct answer: 1. Post splenectomy Patient

Explanation: Ans. is 'a' i.e. Post Splenectomy Patient In table 138-1 p 884 a list of conditions commonly predisposing to pneumococcal infection is given.The list is very long and its not possible to memorize it so I will pick out some important ones for you.Conditions predisposing to pneumococcal infectionsLymphomaMultiple myeloma*Common variable hypogammaglobulinemiaCLLSickle cell disease,* hypersplenia, Asplenia, Splenectomy*Renal insufficiency*Diabetes mellitus*Glucocorticoids administration*Infection with HIVCirrhosis*